Cyst form is found in
1. Dientamoeba fragilis
2. B. Coli
3. T. vaginalis
4. T. Intestinalis

Correct answer: 2. B. Coli